WhiCh of the following drugs is most likely to be effective against multi drug resistant strains big M. Tuberculosis including those resistant to Streptomycin
1. Amikacin
2. Claruthromycin
3. Gentamicin
4. Spectinomycin

Correct answer: 1. Amikacin

Explanation: Refer KDT 6/e p 744 Amikacin is an aminoglycoside that us most resistant to inactivating enzymes. It is used as a second line antitubercular drug It can be used in MDR tuberculosis management